Digoxin is used in congestive heart failure is associated with
1. Hypertrophic obstructive cardiomyopathy
2. High output failure
3. Atrial fibrillation with high ventricular rate
4. All the above

Correct answer: 3. Atrial fibrillation with high ventricular rate

Explanation: Refer katzung 11e p 219 digitalis is used for the patients Who remain symptomatic even with diuretics and ACE inhibitors With heart failure who are in atrial fibrillation and acquired ventricular Control rate NOTE; digitalis is contraindicated in HOCM and high output failure